Organism involved in cellulitis is:
1. Strept. mutans
2. Strept, pyogenes
3. Pneurnococci
4. Klebsiella

Correct answer: 2. Strept, pyogenes